Schizophrenia is a common presentation is which genetic disease?
1. Down's syndrome
2. DiGeorge syndrome
3. Klinefelter's syndrome
4. Neurofibromatosis

Correct answer: 2. DiGeorge syndrome

Explanation: DiGeorge syndrome (22q11.2 deletion, velocardiofacial syndrome):30% have schizophrenia when reaches adulthood.